Length of Female adult cervical canal is -
1. 2 cms
2. 2.5 cms
3. 6 cms
4. 10 cms

Correct answer: 2. 2.5 cms